All of the following statements about Fanconi's anemia are true, except -
1. Autosomal dominant inheritance
2. Hypocellular bone marrow
3. Congenital Anomalies
4. Usually nonnocytic/macrocytic cell morphology

Correct answer: 1. Autosomal dominant inheritance